Fusion inhibitor is?
1. Enfuvirtide
2. Ritonavir
3. Efavirenz
4. Didanosine

Correct answer: 1. Enfuvirtide

Explanation: Ans. is 'a' i.e., Enfuvirtide